Most common site of vertebral compression fracture is
1. C5-C6
2. C7-T1
3. T12-L1
4. L5-S1

Correct answer: 3. T12-L1

Explanation: Most common site of vertebral compression fracture is T12-L1 Vertebral Compression Fractures # VCFs are fractures of the bones of the spinal column Occur when the vertebral body fractures or collapses because the bone is too weak Weakness can be caused by primary bone cancer, metastatic bone disease, and cancer- or chemotherapy- related osteoporosis ref : maheswari 9th ed